Corynebacterium diphtheria is
1. Gram-positive cocci
2. Gram-positive bacilli
3. Gram-negative cocci
4. Gram-negative bacilli

Correct answer: 2. Gram-positive bacilli

Explanation: Ref: Harrisons 19th ed. pg. 978* C. diphtheriae is a Gram-positive bacillus that is unencapsulated, nonmotile, and nonsporulating.* The bacteria have a characteristic club-shaped bacillary appearance and typically form clusters of parallel rays, or palisades, that are referred to as "Chinese characters"